Dopamine beta-hydroxylase catalyzes
1. Dopa to dopamine
2. Norepinephrine to dopamine
3. Epinephrine to norepinephrine
4. Dopamine to norepinephrine

Correct answer: 4. Dopamine to norepinephrine

Explanation: Dopamine is hydrolysed by Dopamine beta hydroxylase to Norepinephrine or Adrenaline.Ref: DM Vasudevan - Textbook of Biochemistry, 7th edition, page no: 235